Which of the following is a novel feature of RNTCP ( Revised National Tuberculosis Control Programme) –
1. Achieving 80% BCG coverage
2. Achieving 85% detection rate
3. Achieving 70% cure rate
4. Involvement of NGOs

Correct answer: 4. Involvement of NGOs

Explanation: Revised National Tuberculosis Control Programme

The Government of India, WHO and World Bank together reviewed the NTP in the year 1992. Based on the findings a revised strategy for NTP was evolved. The salient features of this strategy are : -


Achievement of at least 85 percent cure rate of infectious cases through supervised Short Course Chemotherapy involving peripheral health functionaries.
Augmentation of case finding activities through quality sputum microscopy to detect at least 70 percent estimated cases; and
Involvement of NGOs; Information, Education and communication and improved operational research.

Following information has been added in 22nd /e of Park

For a "TB -free India" following objectives have been proposed :

i) To achieve 90% notification rate
ii) To achieve 90% success rate for all new cases and 85% for retreatment cases
iii) To significantly improve the successful outcomes of treatment of drug resistant TB cases
iv) To decrease morbidity and mortality of HIV associated TB
v) To improve outcomes of TB care in the private sector